Superotemporal dislocation of the lens is seen in
1. Marfan's syndrome
2. Homocystinuria
3. Weil Marchesani syndrome
4. Alport's Syndrome

Correct answer: 1. Marfan's syndrome

Explanation: (Refer: AK Khurana Comprehensive Ophthalmology, 6th edition, pg no. 215 - 216)Types of lens dislocations in various disease:Marfan syndrome-superotemporalHomocystinuria-InferonasalWeil-Marchesani syndrome-forward